Which is the most accurate investigation for assessing left ventricular global systolic function?
1. MRI
2. Multislice CT
3. Nuclear scan
4. Echocardiography

Correct answer: 1. MRI

Explanation: MRI images can be used to quantify accurately ejection fraction, end-systolic and end-diastolic volumes, and cardiac mass with high accuracy, reliability, and reproducibility, and without the need for ionizing radiation. Echocardigraphy is a useful tool and used routinely because it is cheaper, efficacy, portability and wide availability. Although SPECT and ECHO are popular among cardiologists, MRI is shown to be the most accurate investigation for global and regional systolic LV function in normal individuals and patients. Ref: Harrison's principles of internal medicine , 18 th edition : Page , 1847. Cardiovascular Magnetic Resonance Imaging, by Raymond Y. Kwong, Page 269